Intra arterial thrombolysis is indicated in
1. Suspected occlusion of larger artery
2. History of subarachnoid hemorrhage
3. History of dementia
4. Stroke of > 6 hours duration

Correct answer: 1. Suspected occlusion of larger artery

Explanation: Answer- A. Suspected occlusion of larger arteryAcute ischemic stroke < 6 hours in durationStroke is significant, (i.e., disabling or life threatening)Suspected occlusion of a large artery (i.e., non-lacunar stroke syndrome)No hemorrhage on screening computed tomography scan